Boxer's fracture is:
1. Fracture of first metacarpal base
2. Fracture of fifth metacarpal neck
3. Fracture of third metacarpal neck
4. Fracture of first metacarpal neck

Correct answer: 2. Fracture of fifth metacarpal neck

Explanation: Ans. Fracture of fifth metacarpal neck